Cavernous sinus does not communicate with the:
1. Internal jugular vein.
2. External jugular vein.
3. Opthalmic vein.
4. Pterygoid plexus.

Correct answer: 2. External jugular vein.